Structures present on medial surface of submandibular gland are all except:
1. Mylohyoid.
2. Facial artery.
3. Hyoglossus.
4. Styloglossus.

Correct answer: 2. Facial artery.

Explanation: SUPERFICIAL PART
The inferior surface is covered by:

Skin
Platysma
Cervical branch of the facial nerve
Deep fascia
Facial vein
Submandibular lymph nodes.

The lateral surface is related to:

The submandibular fossa on the mandible
Insertion of the medial pterygoid
The facial artery

The medial surface is related to:
Mylohyoid, hyoglossus and styloglossus muscles from before backwards.
Inferiorly: It overlaps stylohyoid and the posterior belly of the digastric.